Which of the following is associated with bilateral eighth nerve neuromas?
1. Neurofibromatosis I
2. Neurofibromatosis II
3. Tuberous sclerosis
4. All of the above

Correct answer: 2. Neurofibromatosis II

Explanation: Neurofibromatosis Type II is characterized by bilateral tumors of the eighth cranial nerve (the vestibulocochlear nerve) and any of the following: meningiomas, schwannomas, gliomas, or juvenile subcapsular cataracts.